Advantage of newer liposomal preparation of amphotericin B
1. Similar in efficacy and antifungal spectrum as conventional preparations
2. Fewer chances of nephrotoxicity
3. Lesser uptake in the tissues like the kidney
4. All of the above

Correct answer: 4. All of the above

Explanation: Newer liposomal preparations of amphotericin B have the following features:

Fewer chances of nephrotoxicity and infusion-related reactions
Lesser uptake in the tissues like kidney
More expensive
Similar in efficacy and antifungal spectrum as conventional preparations